Not a predisposing factor for atherosclerotic plaque formation?
1. Apo E deficiency
2. Alpha 2 - macroglobulin
3. Oxidised LDL
4. All

Correct answer: 2. Alpha 2 - macroglobulin

Explanation: B i.e. Alpha 2 - macroglobulinAtherosclerosis is a/w increased LDL (or oxidized LDL), Lp (a) & homocysteine and decreased or defective apo B-100 & EQ. Alpha-2 (a-2) macroglobulin, a large plasma glycoprotein (720 kDa) containing Zn (zinc) and a unique internal cyclic thiol ester bond (formed between cysteine & glutamine), is a panproteinase inhibitor (i.e. neutralize many proteases) and target certain cytokines (like platelet-derived growth factor, transforming growth factor (3 etc) towards particular tissues or cells. It is not a predisposing factor for atherosclerosisQ.